All of the following statements about congenital rubella are true, EXCEPT:
1. IgG persists for more than 6 months
2. IgM antibody is present at birth
3. Most common anomalies are hearing and heart defects
4. Increased risk of congenital malformation if infection occur after 16 weeks

Correct answer: 4. Increased risk of congenital malformation if infection occur after 16 weeks

Explanation: Rubella is ateratogenic virus, can be transmitted from fetus to mother. The risk of congenital manifestations is maximum when a women is infected during the first trimester. After 12 weeks' gestation, the risk of congenital malformation decreases markedly. Features of congenital rubella syndrome include microcephaly and encephalitis, cardiac defects (patent ductus arteriosus, pulmonary arterial stenosis, arterial hypoplasia) cataracts, retinopathy, and microphthalmia, growth restriction, hepatosplenomegaly, thrombocytopenia, and purpura and deafness. Presence of IgM antibody in the serum of infant indicates recent infection as IgM does not cross the placenta from the mother as IgG. In an infant with congenital infection, serum IgM antibodies may be present for up to 1 year after birth. A rubella serum IgG titer persisting beyond the time expected after passive transfer of maternal IgG antibodyis another serologic criterion used to confirm CRS.